Disaster management day:
1. 2nd week of November
2. 2nd week of October
3. 4th week of October
4. 4th week of November

Correct answer: 2. 2nd week of October

Explanation: Ans. (b) 2nd week of OctoberRef: K. Park 23rd ed. / 795* WORLD DISASTER REDUCTION DAY: 2nd WEDNESDAY IN MONTH OF OCTOBER* 24(tm)OCTOBER: UN DAY* 25th NOVEMBER: INT'L DAY FOR ELIMINATION OF VIOLENCE AGAINST WOMEN